Choking off phenomenon is associated with
1. APF gel
2. Stannous Fluoride
3. Potassium nitrate
4. Sodium Fluoride

Correct answer: 4. Sodium Fluoride

Explanation: When sodium fluoride is applied topically it reacts with hydroxyappetite crystals to form calcium fluoride. Once a thick layer of calcium fluoride is formed, it interferes with the further diffusion of fluoride.